Demography deals with all except -
1. Mortality
2. Fertility
3. Morbidity
4. Marriage

Correct answer: 3. Morbidity

Explanation: Park's textbook of preventive and social medicine 23rd edition. deals with 5 demographic processes-fertility, mortality, marriage, migration and social mobility.